Corneal vascularisation is/are caused by –a) Graft rejectionb) Chemical burnc) Contact lens used) Vitreous haemorrhagee) Viral infection
1. bcde
2. abce
3. acde
4. abde

Correct answer: 2. abce